Cutis marmorata occurs due to exposure to -
1. Cold temperature
2. Dust
3. Hot temperature
4. Humidity

Correct answer: 1. Cold temperature

Explanation: * Cutis marmorata is a condition where in the skin has a pinkish blue mottled or marbled appearance when subjected to cold temperatures. * It is seen throughout infancy and in 50 % of children. * Rewarming restores the skin to normal. * It is caused by superficial small blood vessels in the skin dilating and contracting at the same time . REF : THOMAS HABIF 6TH ED